Predisposing factors for sigmoid volvulus are ?
1. Band of adhesion
2. Long pelvic meso colon
3. Narrow attachment of pelvic mesocolon
4. All of the above

Correct answer: 4. All of the above

Explanation: Ans. is 'd' i.e., All of the above